All are true about Rickettsia except ?
1. obligate intracellular
2. Gram +ve bacillus
3. Arthropods are vector
4. Weil felix test is diagnostic

Correct answer: 2. Gram +ve bacillus

Explanation: Ans. is 'b' i.e., Gram +ve bacillus Rickettsiae are Gram negative Pleomorphic coccobacilli Obligate intracellular organisms Non motile Non capsulated Stain bluish purple with Giemsa and Castaneda stains Stain deep red with Machiavella and Gimenez stains About other options . Rickettsiae are transmitted to humans by arthropod vectors through their bite or feces . Serological diagnosis of Rickettsial infection may be done by . Heterophile Weil felix reaction or . Specific tests using Rickettsial antigens.